Which is not a branch of cavernous part of internal carotid artery.
1. Inferior hypophyseal
2. Meningeal artery
3. Ophthalmic artery
4. Cavernous branch

Correct answer: 3. Ophthalmic artery

Explanation: Ans. is 'C' i.e. Ophthalmic artery The internal carotid artery begins at the level of the upper border of the thyroid cartilage as one of the terminal branches of the common carotid artery. Its course is divided into four parts:Parts of ICABranches(A) Cervical partNo branches(B) Petrous partCaroticotympanic art.Pterygoid art.(C) Cavernous partCavernous branches (to trigeminal ganglion walls of cavernous and inferior petrosal sinuses and contained nerves)Sup. Hypophyseal a.Inf. Hypophyseal a.Meningeal a.(D) Cerebral partOphthalmic a.Anterior cerebral a.Middle cerebral a.Post, communicating a.Ant. choroidal a.